In a population of 2000, 20 cases had disease, out of which 5 had died. Case fatality rate of disease is ?
1. 5%
2. 10%
3. 25%
4. 50%

Correct answer: 3. 25%

Explanation: Ans. is 'c' i.e., 25% Total no. of death due to disease 5 CFR -_____________________________ x100 x 100 = 25% Total no. of cases of disease 20 In this case survival rate will be : Survival rate =1 - CFR =1 - 0.25 = 0.75 (75%)